A term neonate was delivered by cesarean section. He presents with mild respiratory distress soon after birth. Chest X-ray shows the typical findings. How is this condition managed
1. Oxygen delivery by CPAP
2. Surfactant provided by InSuRE technique
3. Supportive care as it resolves spontaneously
4. Oxygen delivery by endotracheal intubation

Correct answer: 3. Supportive care as it resolves spontaneously

Explanation: This condition is Transient Tachypnea of Newborn:

Seen in term / post - term neonate
Neonates delivered by cesorean rection
They presents with mild respiratory distress soon after birth which resolves in 48 hours
X-ray
a) fluid in interlober fissure
b) Prominent bronchovascular markings
Image is below
Supportive treatement is given.